Shade selection is done with in how much time to avoid fatigue of eyes?
1. 5 seconds
2. 10 seconds
3. 15 seconds
4. 20 seconds

Correct answer: 1. 5 seconds